Blood loss during major surgery is best estimated by -
1. Visual assessment
2. Suction bottles
3. Transesophageal USG Doppler
4. Cardiac output by thermodilution

Correct answer: 2. Suction bottles

Explanation: Blood loss during operation is measured by -
Weighing the swabs after use and subtracting the dry weight + Volume of blood collected in suction or drainage
This is k/a Gravimetric method of estimation of blood loss